All of the following are true for mitral valve prolapse,except -
1. Transmission may be as an autosomal dominant trait
2. Majority of the case present with features of mitral regurgitation
3. The valve leaflets characteristically show myxomatous degeneration
4. The disease is one of the common cardiovascular manifestations of Marfan's Syndrome

Correct answer: 2. Majority of the case present with features of mitral regurgitation